Mechanism of action of digitalis in atrial fibrillation is:
1. By decreasing cardiac contractility
2. Na+ K+ ATPase inhibition
3. Increase in refractoriness of AV nodal tissue
4. By causing bradycardia

Correct answer: 3. Increase in refractoriness of AV nodal tissue

Explanation: Digoxin reduces ventricular rate in A. Fib. by decreasing the number of impulses that are able to pass down the A-V node and bundle of His. It increases ERP of A-V node by direct, vagomimetic and antiadrenergic actions --> Minimum interval between consecutive impulses that can successfully traverse the conducting tissue is prolonged.